Pyrogens act on which site of brain -
1. Basal ganglia
2. Limbic system
3. Thalamus
4. Hypothalamus

Correct answer: 4. Hypothalamus

Explanation: Ans. is 'd' i.e., Hypothalamus Pyrogeneso Pyrogenes are substances that cause fever,o Pyrogens may be exogenous or endogenousExogenous - Bacterial toxinsEndogenous - IL-1, TNF-a, IL-6, Interferons, Ciliory's neurotropic factoro These pyrogenes increase the level of PGE, in the hypothalamus that elevates the thermoregulatory' set point and causes fever.